In obstruction of the large gut rupture occurs at the
1. Cecum
2. Ascending colon
3. Transverse colon
4. Descending colon -

Correct answer: 1. Cecum